The following treatment options are useful in the management of Guillain-Barre Syndrome except -
1. Intra-venous immunoglobulin
2. Intra-venous methotrexate
3. Plasmapheresis
4. Physical medical rehabilitation

Correct answer: 2. Intra-venous methotrexate